A 40-year-old male complained of tachypnea. On examination his respiratory rate is 32/min with pulmonary hypertension and BP 132/90 mmHg. JVP was raised. What is your diagnosis?
1. Aortic dissection and rupture
2. Esophageal rupture
3. Tension pneumothorax
4. Right ventricular hypertrophy

Correct answer: 4. Right ventricular hypertrophy

Explanation: The above clinical scenario describes that the patient is suffering from Right ventricular hypertrophy. The most common aetiology of right ventricular hypertrophy is severe lung disease. The disorders that induce pulmonary hypertension and secondary right ventricular hypertrophy include the following: Pulmonary arterial hypertension (PAH) Pulmonary hypertension owing to left heart disease Pulmonary hypertension from lung disease and/or hypoxia On Examination: Jugular Veins- Distended and prominent jugular veins are apparent and reflect right atrial pressure elevation. Palpation of the chest may reveal a dynamic right ventricular heave due to the dilated right ventricle. On JVP: prominent "a" wave. Heart sounds: S3 and S4 can be heard. Ascites and peripheral oedema of variable severity may be present. Liver is often enlarged and tender.